Most Common site for carcinoma stomch ?
1. Antrum
2. Fundus
3. Lesser curvature
4. Greater curvature

Correct answer: 1. Antrum

Explanation: Ans. is 'a' i.e., Antrumo The location of gastric carcinomas within the stomach is as fallows ;Pylorus and antrum 50 - 60%Cardia --> 25%Body and fundus --> Remaindero The lesser curvature is involved in about 40%and the greater curvature in 12%. o Thus, a favored location is the lesser curvature of the antropyloric region.